The most potent Narcotic Analgesic is
1. Morphine
2. Buprenorphine
3. Codeine
4. Pentazocine

Correct answer: 2. Buprenorphine

Explanation: (B) Buprenorphine